Management of typical febrile seizures include all the following except :
1. Tepid sponging
2. Paracetamol and ibuprofen
3. Intermittent diazepam
4. Prophylactic phenobarbitone

Correct answer: 4. Prophylactic phenobarbitone